Type V hypersensitivity is a type of
1. Type I HSN
2. Type II HSN
3. Type III HSN
4. Type IV HSN

Correct answer: 2. Type II HSN

Explanation: Type V reactions - Modification of type II HSN, also called Jones - mote reaction or cutaneous basophil hypersentitivity.